A patient experiences paralysis of the muscle that originates from the femur and contributes directly to the stability of the knee joint.Which of the following muscles is involved?
1. Vastus lateralis
2. Semimembranosus
3. Sartorius
4. Biceps femoris (long head)

Correct answer: 1. Vastus lateralis

Explanation: All of them contribute to the stability of the knee joint but The vastus lateralis muscles arise from the femur and all the other muscles originate from the hip (coxal) bone.